\r\nWhat kind of benefit is provided under the Rajiv Gandhi Shramik Kalyan Yojana to covered employees?
1. Medical benefit
2. Unemployment benefit
3. Maternity benefit
4. Dependant's benefit

Correct answer: 2. Unemployment benefit

Explanation: Rajiv Gandhi Shramik Kalyan Yojana was launched under the ESI act in 2005. This scheme provides unemployment benefit to employees covered under ESI scheme who are rendered unemployed involuntarily due to retrenchment or closure of factory etc. Ref: Park 21st edition page: 759.